. Bacteria is not shed in -
1. Carrier state
2. Latent infection
3. Incubation period
4. Subclinical infection

Correct answer: 2. Latent infection